Drug of choice for cisplatin induced emesis is :
1. Metoclopramide
2. Domperidone
3. Ondansetron
4. Octreotide

Correct answer: 3. Ondansetron

Explanation: Ans. is 'c' Ondansetron (Ref Harrison, 17/e, p 243 & 16/e, p 221 (15/e, p. 238)).Ondansetron is an antiemetic agent (5HT3 antagonist). It is mainly used to prevent cancer chemotherapy induced emesis.Other usesRadiotherapy induced emesis*Postoperative emesis*Anaesthesia induced emesis